Most common psychiatry disorder is
1. Dementia
2. Schizophrenia
3. Depression
4. Paronia

Correct answer: 3. Depression

Explanation: C i.e. Depression